Hutchinson's secondaries in skull are due to tumors in which of the following organs?
1. Lungs
2. Breast
3. Liver
4. Adrenals

Correct answer: 4. Adrenals

Explanation: Hutchison's secondaries in the skull and orbit arise from left sided adrenal neuroblastoma. Secondaries in the skull mimics spicular osteogenic sarcoma. It is common in late childhood. Pepper type is right sided adrenal neuroblastoma with liver secondaries. It common in infants.Neuroblastoma is the commonest childhood tumorIts a tumor of adrenal medullaIt is an aggressive malignant tumor in childhood usually below the age of 5 yearsIt can occur anywhere in the sympathetic chain but common in adrenal glands.Ref: Srb's Manual of Surgery By Sriram Bhat page 449